False about pterygopaltine fossa:-
1. Communicates inferomedially with infra temporal fossa
2. Communicates with middle cranial fossa through vidian canal
3. Contains pterygopalatine ganglion and third part of maxillary artery
4. Foramen rotundum is located above the Vidian canal

Correct answer: 1. Communicates inferomedially with infra temporal fossa

Explanation: The pterygopalatine fossa is an inverted teardrop shaped ,Space between bones on the lateral side of the skull immediately posterior to maxilla. Direction Passage Connection Posterior Foramen rotundum Pterygoid canal (vidian) Palatovaginal canal (pharyngeal) Middle cranial fossa Middle cranial fossa foramen lacerum Nasal cavity, nasopharynx. Anterior Inferior orbital fissure Orbit Medially Sphenopalatine foreman Nasal cavity Laterally Pterygomaxillary fissure Infratemporal fossa Inferiorly Greater palatine canal (pterygopalatine) Oral cavity, lesser palatine canals. Contents of pterygopalatine fossa: - 1. Third part of maxillary artery and its branches which bear the same names as the branches of the pterygopalatine ganglia & accompany all of them. 2. Maxillary nerve and its two branches, zygomatic & posterior superior alveolar. 3. Pterygopalatine ganglion & its numerous branches containing fibers of the maxillary nerve mixed with autonomic nerve.